Which of the following opioid is used by transdermal route in cases of malignancy associated pain -
1. Fentanyl
2. Morphine
3. Codeine
4. Oxycodone

Correct answer: 1. Fentanyl

Explanation: Ans. is 'a' i.e., Fentanyl o Fentanyl is opioid analgesic used via transdermal delivery systems in case of chronic pain.